Tuberculin test denotes :
1. Previous or present sensitivity to tubercle proteins
2. Patient is resistant to TB
3. Person is susceptible to TB
4. Protective immune status of individual against TB

Correct answer: 1. Previous or present sensitivity to tubercle proteins